Bronchopulmonary segments in right and left lungs respectively ?
1. 9, 11
2. 11,9
3. 10,10
4. 8, 10

Correct answer: 3. 10,10

Explanation: Each lung has 10 bronchopulmonary segments.